In E.coli structural gene of lac operon is stimulated in
1. Presence of glucose only
2. Presence of lactose only
3. Presence of glucose and absence of lactose
4. Presence of lactose and absence of glucose

Correct answer: 4. Presence of lactose and absence of glucose

Explanation: JACOB and MONAD theory was based on the observation on lactose metabolism in E.coli Cell grown in glucose medium does not contain beta-galactosidase But when cells are transferred to medium containing only lactose, then the enzyme level in the cell increases several thousand foldsRef: DM Vasudevan, 7th edition, page no: 617